All-trans-retinoic acid is used in treatment of:
1. Acute promyelocytic leukemia
2. A.L.L.
3. CML
4. Transient myeloproliferative disorder

Correct answer: 1. Acute promyelocytic leukemia

Explanation: Arsenic trioxide (Trisenox) and all-trans retinoic acid (ATRA) are anti-cancer drugs that can be used alone or in combination with chemotherapy for remission induction of a certain subtype of AML called promyelocytic leukemia. These drugs cause leukemia cells with a specific gene mutation to mature and die, or to stop dividing. REFERENCE: www.mayoclinic.org